A 42-year-old man who has been employed by a company for the past 2 years believes that,h is fellow employees have hatched a conspiracy to get him fired, he believes that they have tapped his phone and that they follow him home. He frequently checks his home for cameras as he believes that fellow employees are keeping an eye on him. He denies having auditory hallucinations and there are no other symptoms. Which of the following is the most appropriate diagnosis for this man?
1. Paranoid schizophrenia
2. Catatonic schizophrenia
3. Delusional disorder (paranoid type)
4. Paranoid personality disorder

Correct answer: 3. Delusional disorder (paranoid type)

Explanation: This 42-year-old man who believes that his fellow employees are conspiring to get him fired is most likely to have delusional disorder, paranoid type. This disorder is characterized by one chronic and fixed non-bizarre delusional system such as the patient's belief in a non-existent conspiracy. Hallucinations are usually absent in such patients